Antidepressant, which is selective 5HT inhibitor is -
1. Fluoxetine
2. Imipramine
3. Desipramine
4. Amitryptiline

Correct answer: 1. Fluoxetine

Explanation: Ans. is 'a' i.e., Fluoxetine